Earliest sign of compartment syndrome of leg is:
1. Skin mottling
2. Loss of pulse
3. Tingling numbness
4. Pain on passive stretching of toes

Correct answer: 4. Pain on passive stretching of toes

Explanation: Ans. D. Pain on passive stretching of toesPain out of proportion to clinical situation is usually the first symptom in compartment syndrome of leg while pain on passive stretching is most sensitive sign prior to the onset of ischemia. This is the most frequent in the lower leg.